All are socio-economic determinants of health except:
1. Economic conditions
2. Education
3. Occupation
4. Culture

Correct answer: 4. Culture

Explanation: Socio-economic determinants of Health of major importance are :- (i) Economic status (ii) Education (iii) Occupation (iv) Political system.